Human retina consists about
1. 100 million Rods & 5 million Cones
2. 5 million Rods & 100 million Cones
3. 100 million Rods & 100 million Cones
4. 5 million Rods & 5 million Cones

Correct answer: 1. 100 million Rods & 5 million Cones

Explanation: (A) 100 million Rods & 5 million Cones # Total number of cones in fovea:> Approximately 200,000. There are 17,500 cones/degree> Rod free area is approximately 10 thus there are 17,500 cones in the central rod-free fovea.> Total number of cones in the retina. - 6,400,000> Total number of rods in the retina. - 110,000,000 to 125,000,000> Rod distribution.> Rods peak in density 180 or 5mm out from the center of the fovea in a ring around the fovea at 160,000 rods/mm2> No rods in central 200 pm.> Average 80-100,000 rods/mm2> Rod acuity peak is at 5.20 or 1.5 mm from foveal center where there are 100,000 rods/mm2